Indications of urgent delivery of the second baby in twin are all except
1. Abruptio placentae
2. Cord prolapse of the second baby
3. Inadvertent use of IV ergometrine with the delivery of the anterior shoulder of the first baby
4. Breech presentation of the second baby

Correct answer: 4. Breech presentation of the second baby

Explanation: Sometimes rapid delivery is indicated as in cord prolapse,abruption of the second twin or fetal distress.In such cases,the second baby is delivered by vaccum or forceps if it is in a vertex presentation and by breech extraction in case of breech. Refer page no 188,189 of Text book of obsteics,sheila balakrishnan,2 nd edition